All of the following are the features of the displayed pelvis except:
1. Sub-pubic angle more obtuse
2. Pelvic inlet circular shaped
3. Triangular obturator foramen
4. Sacrum long and narrow

Correct answer: 4. Sacrum long and narrow

Explanation: Ans. (D). Sacrum long & narrow.The displayed pelvis shows circular pelvic inlet, sub-pubic angle more than 90deg, sacrum short & wide, which are suggestive of female sex.